K-complex is seen in -
1. REM
2. Stage 1 NREM
3. Stage 2 NREM
4. Stage 3 NREM

Correct answer: 3. Stage 2 NREM

Explanation: Ans is 'c' i.e., Stage 2 NREM Repeat from all India Dec 2015 of this book